The superficial inguinal ring is a defect in-
1. Transversalis fascia
2. Internal oblique
3. External oblique
4. External oblique aponeurosis

Correct answer: 4. External oblique aponeurosis